A 12-year-child, who has intellectual disability, is having large face, large jaw, large ear and macroorchidism. Diagnosis?
1. Mc Cune Albright syndrome
2. Down's syndrome
3. Cri-du chat syndrome
4. Fragile X syndrome

Correct answer: 4. Fragile X syndrome

Explanation: Fragile X syndrome- CGG trinucleotide repeats. Intellectual disability, large face, large jaw, large ear and macro-orchidism. Cri-du chat syndrome- high pitched cry, microcephaly, intellectual disability, hypotonia Mc Cune Albright syndrome- cafe au lait pigmentation, fibrous dysplasia, endocrine dysfunction Down's syndrome- mongloid slant, epicanthal folds, depressed nasal bridge